The point of intersection of dorsal contours of Mandibular processes
1. Supramentale
2. Articulare
3. Condylion
4. Pterygomaxillary point

Correct answer: 2. Articulare